Vector for Zika virus disease is:
1. Anopheles stephensi
2. Phelebotomus
3. Aedes Aegypti
4. Culex

Correct answer: 3. Aedes Aegypti

Explanation: Zika virus is a mosquito- borne flavivirus which is transmitted through the bite of infected Aedes Aegypti. Transmission from an infected pregnant mother to her baby during pregnancy or around the time of birth is also a possibility. Zika Virus Zika virus is a mosquito-borne Flavivirus Caused by Zika virus which belongs to the genre Flavivirus. Zika virus is diagnosed through RTPCR (polymerase chain reaction) and virus isolation from blood samples.